All of the following are potassium sparing diuretics except :
1. Triamterene
2. Spironolactone
3. Amiloride
4. Indapamide

Correct answer: 4. Indapamide